Which of the following statements about small cell carcinoma is true?
1. Bone metastasis is uncommon
2. Peripheral in location
3. Chemosensitive tumor
4. Paraneoplastic syndrome with PTH is common

Correct answer: 3. Chemosensitive tumor

Explanation: Small cell carcinomas are highly chemosensitive with an overall 90% regression rate with chemotherapy. Property Small Cell Carcinoma Non Small Cell Carcinoma Location Central location Peripheral location Metastasis Highly metastatic lesion with wide spread metastasis at time of diagnosis Common site of metastasis include brain, bone, liver and adrenals Less metastatic than small cell carcinoma Paraneoplastic syndrome ACTH AVP (Vasopressin) Calcitonin ANF Gastrin Releasing peptide PTH-rp Repsonse to Chemotherapy Superior response Overall regression rate 90% Rate complete regression in 30% Inferior response Onjective shrinkage in 30-50% Complete response; Uncommon Ref: Harrisons 19th edition pgno: 522